Mitochondria] DNA inheritance is transmitted from:
1. Mother
2. Father
3. Grandfather
4. Grandmother

Correct answer: 1. Mother

Explanation: Ans. Mother